On mammogram all of the following are the features of a malignant tumor except:
1. Spiculation
2. Microcalcification
3. Macrocalcification
4. Irregular mass

Correct answer: 3. Macrocalcification

Explanation: Benign Malignant Opacity Smooth margin Low density Homogeneous Thin halo Ill definedQ margin Irregular stellate, spiculatedQ margin, comet tailQ High densityQ Heterogeneous Wide haloQ Calcification MacrocalcificationQ (>0.5 mm in diameter) MicrocalcificationQ (<0.5 mm in diameter)